Anti U1-14NP antibody is seen in?-
1. SLE
2. Scleroderma
3. MCTD
4. Dermatomyositis

Correct answer: 3. MCTD

Explanation: Robbins basic pathology 9th edition page no 135,Heading =Mixed connective tissue disease Mixed connective tissue disease have high titers of antibodies to an RNP antigen called U1RNP. This disease also have features suggestive of SLE, polymyositis, orSS.